The enzyme pseudocholinesterase acts on?
1. Decamethonium
2. Tubocurarine
3. Gallamine
4. Suxamethonium

Correct answer: 4. Suxamethonium

Explanation: Ans. is 'd' i.e., Suxamathonium Suxamethonium is the other name of succinylcholine. It is the shortest acting muscle relaxant due to metabolism by pseudocholinesterase.